Terminal third of retentive arm is placed in
1. Gingival third
2. Junction of gingival third and middle third
3. Middle third
4. Junction of middle and occlusal third

Correct answer: 1. Gingival third